Use of shakirs tape for measuring arm circumference is -
1. Equitable distributin
2. Community participation
3. Intersectoral coordination
4. Appropriate technology

Correct answer: 4. Appropriate technology

Explanation: Ans. is 'd' i.e., Appropriate technology * Appropriate technology is defined as 'technology that is scientifically sound, adaptable to local needs, and acceptable to those who apply it and those for whom it is used, and that can be maintained by the people themselves in keeping with the principles of self reliance with the resources the community and country can afford.'* Examples of appropriate technology -i) Use of coloured tapes (e.g. shakir tape) for measuring mid arm circumferenceii) Use of ORSiii) Growth chart maintenance for under-5 children